All of the following are exogenous eczema except
1. Irritant dermatitis
2. Infective dermatitis
3. Photodermatitis
4. Stasis dermatitis

Correct answer: 4. Stasis dermatitis

Explanation: (D) Stasis dermatitis # EXOGENOUS ECZEMA* Irritant dermatitis; Allergic contact dermatitis; Infective dermatitis; Photo-allergic contact dermatitis; Eczematous polymorphic light eruption; Eczematous dermatophytosis; Dermatophytide> Irritant Contact Dermatitis:* Any person exposed to an irritant substance for a long enough period of time will develop an irritant contact dermatitis* Common irritants include: alkalis and acids, chlorine bleach, strong detergents, disinfectants* Pruritus and scratching develop, followed by erythema, scaling and superficial fissuring> Allergic Contact Dermatitis: Only those who are sensitized to the substance will develop an allergic contact dermatitis> Management Of Allergic Contact Dermatitis* The diagnosis should be confirmed by patch testing.; The patient will recover if the antigen is permanently removed.> HTLV 1 Associated Infective Dermatitis: Characterized by a severe exudative dermatitis* Generalized fine papular rash; Chronic watery nasal discharge sometimes associated with crusting* Staphylococcus aureus and/or ft haemolytic streptococcus commonly cultured from the anterior nares or skin> Areas Involved in HTLV 1 Associated Infective Dermatitis: Scalp, External ear, Retroauricular areas, Eyelid margins, Paranasal skin, Neck, Axillae,& Groin> Stasis dermatitis (also known as "Congestion eczema," "Gravitational dermatitis," "Gravitational eczema," "Stasis eczema," and "Varicose eczema") refers to the skin changes that occur in the leg as a result of "stasis" or blood pooling from insufficient venous return; the alternative name of varicose eczema comes from a common cause of this being varicose veins.